MAC of the volatile agent is reduced in all of the following except
1. Elderly
2. Acute alcoholic intoxication
3. Pregnancy
4. Hypernatremia

Correct answer: 4. Hypernatremia

Explanation: Hypernatremia causes CNS excitation thus increases MAC. Pregnancy decreases MAC because there is increase in progesterone level in pregnancy. progesterone has sedative effect on brain. age decreases MAC by 6%/decade Acute alchohol intoxication produce sedation thus decreases MAC